Emperical use of intravenous amphotericin is indicated in ?
1. Candida
2. Blastomycosis
3. Non-responding febrile neutropenia
4. Larva migrans

Correct answer: 3. Non-responding febrile neutropenia

Explanation: Ans. is 'c' i.e., Non-responding febrile neutropenia Empirical use of i. v. AMB is often made in neutropenic patients whose fever is not responding to i. v. bactericidal antibiotics. Uses ? It is D.O.C. for Cryptococcosis - used along with Flucytosine Aspergillosis Mucormycosis